A child presented at 10 weeks with recurrent episode of pneumonia and failure to thrive. X-ray show cardiomegaly & pulmonary plethora diagnosis?
1. VSD
2. ASD
3. TOF
4. Patent foramen ovale

Correct answer: 1. VSD

Explanation: - Features given in the question are suggestive of VSD VENTRICULAR SEPTAL DEFECT : - Communication b/w 2 ventricles of heart - 90% are located in membranous part of ventricular septum with variable extension into muscular septum. - Clinical features: Usually presents at 6-10 weeks of age Recurrent episodes of pneumonia Heart failure Failure to thrive X-ray showing cardiomegaly & pulmonary plethora -->MC congenital heart disease in children--> VSD -->MC congenital acyanotic heart disease in children--> VSD -->MC congenital heart diseases affected by infective endocarditis in children--> VSD